GCS minimum value -
1. 3
2. 6
3. 0
4. 4

Correct answer: 1. 3

Explanation: Ans. is 'a' i.e., 3 o Glasgow coma scale is used to determine the conscious level of the patient.o It is based on EVM i.e. Eye Opening, Verbal response & Motor response.Glasgow coma scaleA)Eye opening B)Verbal response C)Motor response Spontaneous- 4 Oriented- 5 Obeys commands- 6 To Voice- 3 Confused- 4 Localises pain- 5 To pain- 2 Inappropriate words- 3 Withdraws (pain)- 4 None- 1 Incomprehensible sound- 2 Flexion (pain)- 3 None- 1 Extension (pain) None- 1 o Ranges from 3 to 15.o A score of 7 or less is classed as comao A score of 9 or more excludes coma